Trismus during block anesthesia is as a result of
1. Massive edema
2. Damage to medial pterygoid
3. Damage to lateral pterygoid
4. Damage to inferior alveolar nerve

Correct answer: 2. Damage to medial pterygoid